Multiple painful ulcers with inguinal lymphadenopathy. Diagnosis is?
1. Syphilis
2. Chancroid
3. LGV
4. Donovanosis

Correct answer: 2. Chancroid

Explanation: Ans. is 'b' i.e. Chancroid* Chancaroid characteristically present with multiple painful ulcers with no or soft induration with painful suppurative inguinal lymphadenopathy.* They have undermined, sloughed erythematous edges & bleed easily.Characteristics of various different types of genital ulcersi) Primary syphilis (hard chancre):- punched out, painless, non bleeding(avascular) ulcer with firm induration. Painless lymphadenopathy.ii) Donovanosis:- one or more, painless, bleeding (vascular) ulcers with induration. No lymphadenopathy (pseudobubos).iii) Chancroid (soft chancre):- multiple, painful, bleeding (vascular) ulcers with no or soft induration. Suppurative painful lymphadenopathy.iv) LGV: - single, painless, non bleeding ulcer. Painful lymphadenopathy.v) Herpes genitalis: - multiple painfiil/asymptomatic vesicles/ulcers. Painful lymphadenopathy (b/1).